Diene's phenomenon is seen in
1. Proteus
2. E.coli
3. Klebsiella
4. Mycoplasma

Correct answer: 1. Proteus

Explanation: Diene's phenomenon - proteus
Diene's method of staining → mycoplasma